Laryngocode arises from
1. Anterior commissure
2. Saccule of the ventricle
3. True cords
4. False cords

Correct answer: 2. Saccule of the ventricle